Which of the tumors are unique to pregnancy
1. Luteoma
2. Serous cystadenoma
3. Mucinous cystadenoma
4. Teratoma

Correct answer: 1. Luteoma

Explanation: Pregnancy luteomas are rare, nonneoplastic lesions of the ovary thought to be caused by the hormonal effects of pregnancy. Most of these patients are asymptomatic with the ovarian enlargement being incidentally discovered during imaging or surgery. Some patients develop hirsutism or virilization during late pregnancy. Luteomas spontaneously regress postpartum. It may be a diagnostic and management challenge as it can mimic the presentation of malignant ovarian tumors.